Normal body mass index is-
1. 18.5 to 24.99
2. 15 to 18
3. 25.00 to 29.99
4. Greater than 30

Correct answer: 1. 18.5 to 24.99

Explanation: Commonly accepted BMI ranges are underweight: under 18.5 kg/m2, normal weight: 18.5 to 25, overweight: 25 to 30, obese: over 30. Ref Davidson 23rd edition pg 699